Motion of use for reamers is
1. Pulling or rasping
2. Linear to and fro
3. Penetration retracton and rotation
4. Circumferential

Correct answer: 3. Penetration retracton and rotation